Axial reduction in a posterior three quarter crown imparts:
1. Retention and Resistance
2. Structural durability
3. Periodontal preservation
4. All of the above

Correct answer: 4. All of the above